Which of the following is consistent with a decision to perform a cerclage?
1. Uterine contractions
2. Cervix dilated to 3 cm
3. Uterine bleeding
4. Gestation of 26 weeks

Correct answer: 2. Cervix dilated to 3 cm

Explanation: The treatment of the apparently incompetent cervix is surgical and consists of reinforcing the weak cervix by some kind of purse-string suture.It is best performed after the first trimester, but before cervical dilatation of 4 cm, if possible.Bleeding, infection and uterine contractions are contraindications to surgery